Prolonged use of one of the following anticonvulsant drugs can produce weight loss:
1. Gabapentin
2. Oxcarbazepine
3. Topiramate
4. Valproic acid

Correct answer: 3. Topiramate

Explanation: Adverse effects are impairment of attention, sedation , ataxia, word finding difficulty, poor memory, weight loss, paresthesia and renal stones. All the other drugs donot cause weight loss. Ref: K D Tripati 8 th edition